All of the following are signs of periodontal trauma except:
1. Pain
2. Mobility
3. Hypersensitivity
4. Bleeding

Correct answer: 4. Bleeding